Which of the following is the COMMONEST intraocular tumour in children?
1. Retinoblastoma
2. Malignant melanoma
3. Teratoma
4. Neuroblastoma

Correct answer: 1. Retinoblastoma

Explanation: Retinoblastoma is the most common ocular malignant tumor in children. It primarily occur due to a mutation in the retinoblastoma gene at chromosome 13q14. Most of the patients presents before 3 years of age. The most common presenting sign in children is leukocoria. Other common presentations includes strabismus, red eye, glaucoma, or pseudohypopyon. Neuroblastoma arises from neural crest tissue of the sympathetic ganglia or adrenal medulla. It accounts for 10% of pediatric malignancies and is the most common solid neoplasm outside the CNS. 50% of neuroblastomas are diagnosed before age 2 years and 90% before age 5 years. Clinical manifestations vary with the primary site of malignant disease and the neuroendocrine function of the tumor. Ref: Braverman R.S. (2012). Chapter 16. Eye. In W.W. Hay, Jr., M.J. Levin, R.R. Deterding, J.J. Ross, J.M. Sondheimer (Eds), CURRENT Diagnosis & Treatment: Pediatrics, 21e. Graham D.K., Quinones R.R., Keating A.K., Maloney K., Foreman N.K., Giller R.H., Greffe B.S. (2012). Chapter 31. Neoplastic Disease. In W.W. Hay, Jr., M.J. Levin, R.R. Deterding, J.J. Ross, J.M. Sondheimer (Eds),CURRENT Diagnosis & Treatment: Pediatrics, 21e.